A Warthin's tumour is:
1. An adenolymphoma of parotid gland
2. A pleomorphic adenoma of parotid
3. A carcinoma of the parotid
4. A carcinoma of submandibular salivary gland

Correct answer: 1. An adenolymphoma of parotid gland

Explanation: Answer is 'a' ie An adenolymphoma of parotid gland Warthin's tumor Is the second most common benign tumor of the parotid gland (151 is pleomorphic adenoma). It consists of both epithelial and lymphoid elements thus known as adenolymphoma (probably arises from remnants of parotid tissue trapped in lymphnodes within the parotid gland). Also known as papillary cystadenoma lymphomatosum. The tumor arises only in the parotid gland. Almost always arises in the lower portion of the parotid gland overlying the angle of mandible. Common in males. (Occurs most often in older white men) Age : 54h to 7th decade. Association is seen with smoking. Bilaterality is seen in 10% cases. Its well encapsulated, extremely slow growing tumor, never turns malignant. A peculiar feature of Warthins tumor is that it shows 'hot' spot in 99'n Tc-pertechnate scan. Other tumors of the parotid show 'cold' spot (Oncocytomas another benign parotid tumor also shows hot spot). (Because of the high mitochondrial content within oncocytes, the oncocyte-rich Warthin tumor and Oncocytomas incorporate technetium Tc 99m and appear as hot spots on radionuclide scans.) Also remember Godwin 's tumor - Benign lymphoepithelial tumor of the parotid gland. Most salivary gland tumors are benign. However remember that the smaller the salivary gland, the higher is the chance of the tumor being malignant. Parotid gland --> 80% benign Submandibular, Sublingual 50% benign, 50% malignant Minor salivary glands ---> 25% benign, 75% malignant